Which of the following Antiepileptic acts by opening Potassium channel?
1. Ezogabine
2. Felbamate
3. Lacosamide
4. Gabapentin

Correct answer: 1. Ezogabine